Not true about cephalhematoma:
1. Not limited by sutures
2. Swelling develops in 12-24 h after birth
3. Swelling subsides in 2-3 months
4. Caused by periosteal injury of skull

Correct answer: 1. Not limited by sutures

Explanation: Ans. Not limited by sutures